Blood agar is an example of ?
1. Enriched media
2. Indicator media
3. Enrichment media
4. Selective media

Correct answer: 1. Enriched media

Explanation: Ans. is 'a' i.e., Enriched media